Dawn phenomenon refers to:
1. Early morning hyperglycemia
2. Early morning hypoglycemia
3. Hypoglycemia followed by hyperglycemia
4. High insulin levels

Correct answer: 1. Early morning hyperglycemia

Explanation: Ans. A i.e. Early morning hyperglycemia Important terms Dawn phenomenon: Glucose level rise in early morning Somogyi effect: Rebound hyperglycemia may appear after 1-24 hours after moderate to severe hypoglycemia